A 7-year-old girl is brought with complaints of generalized swelling of the body. Urinary examination reveals grade 3 proteinuria and the presence of hyaline and fatty casts. She has no history of hematuria. Which of the following statements about her condition is true –
1. No IgG deposits or C3 deposition on renal biopsy
2. C3 level will be low
3. IgA nephropathy is the likely diagnosis
4. Alport's syndrome is the likely diagnosis

Correct answer: 1. No IgG deposits or C3 deposition on renal biopsy

Explanation: This girl is having

Generalized swelling (oedema)
Grade 3 proteinuria
Fatty casts (lipiduria)
No hematuria


All these features suggest the diagnosis of nephrotic syndrome.
Minimal change disease is the commonest cause of nephrotic syndrome in children.
Minimal change disease is characterized by the absence of IgG deposits and/or complement on immunofluorescence.